The internal carotid artery has four segments: the cervical, the intrapetrosal, the cavernous, and the cerebral. Which is NOT a branch of cavernous part of internal carotid artery?
1. Cavernous branch
2. Inferior hypophyseal artery
3. Meningeal artery
4. Ophthalmic artery

Correct answer: 4. Ophthalmic artery

Explanation: The cavernous part of the internal carotid artery gives rise to numerous small branches:Cavernous branches: Supply the trigeminal ganglion, the walls of the cavernous, and inferior petrosal sinuses, and the nerves contained.A minute meningeal branch: Supply dura mater and bone in the anterior cranial fossa.Numerous small hypophysial branches: Supply the neurohypophysis to form the pituitary portal system. Ref: Gray's Clinical Neuroanatomy By Elliott L. Mancall, David G. Brock, 2011, Page 93.